According to Strasberg classification. Lateral CBD injuries are classified as:
1. Type B
2. Type C
3. Type D
4. Type E

Correct answer: 3. Type D

Explanation: Strasberg Classification of Laparoscopic Biliary Injuries Type A Bile leaks from minor ducts still in continuity with CBD Includes leakage from cystic duct stump and from a subvesical duct of Luschka MC causes of biliary leaks seen after laparoscopic cholecystectomy Type B Occlusion of a part of the biliary tree, almost always an aberrant right sectoral duct Type C Transection without ligation of an aberrant right sectoral duct Type D A lateral injury to an extrahepatic duct Type E Includes biliary strictures, divided into E1 to E5 as classified by Bismuth